Which of the following is an adrenergic drug preferred for arresting labour?
1. Ritodrine
2. Isoprenaline
3. Salbutamol
4. Terbutaline

Correct answer: 1. Ritodrine

Explanation: (Ref: KDT 6/e p323) Isoxsuprine and ritodrine are selective b2 agonists useful as tocolytic agents for arresting labour. Pulmonary edema is an important adverse effect of these agents.